Osteoporosis circumscripta is a finding seen in
1. Pagets disease
2. Osteosarcoma
3. Multiple myeloma
4. Osteomyelitis

Correct answer: 1. Pagets disease